The most common radiographic appearance of OKC is :
1. Unilocular radiolucency
2. Multilocular radiolucency
3. Mixed radiopaque-radiolucent
4. Radiopacity

Correct answer: 1. Unilocular radiolucency

Explanation: Radiographically, OKCs present as a unilocular radiolucency with a well-defined peripheral rim. Scalloping of the border is also a frequent finding and this represents variations in the growth pattern of the cyst. Multilocular radiolucent OKC is also observed, generally representing a central cavity having satellite cysts.
Shafer's textbook of oral pathology 8th edition page no 64